Thiazides cause all the following side-effects except-
1. Hypercalcemia
2. Hypokalemia
3. Metabolic acidosis
4. Metabolic alkalosis

Correct answer: 3. Metabolic acidosis

Explanation: Loop agents and distal convoluted tubule agents, such as the thiazides, produce hypokalemic, hypochloremic, metabolic alkalosis that responds to potassium chloride replacement. Carbonic anhydrase inhibitors produce less hypokalemia and volume depletion but commonly induce metabolic acidosis that is often symptomatic Ref Davidson 23rd edition pg 354